True about calcium reabsorption in the kidney?
1. Most of the calcium reabsorption occurs in DCT
2. Major regulating factor is Parathormone
3. Parathormone decreases calcium reabsorption
4. Increased plasma phosphate decreases calcium reabsorption

Correct answer: 2. Major regulating factor is Parathormone

Explanation: Major regulating factor is parathormone.The primary controller of renal tubular reabsorption is parathormone.It increases calcium reabsorption in Loop of Henle (thick ascending limb) and distal tubules. Most of the calcium (6590) is reabsorbed in PCT. Increased plasma phosphate increases calcium reabsorption.